Which of the following is the FIRST country to socialize medicine completely?
1. India
2. Russia
3. USA
4. Germany

Correct answer: 2. Russia

Explanation: Russia is the first country to socialize medicine completely and to give all its citizens a constitutional right to health services. Ref: Park, 21st Edition, Page 9.